There are electron dense deposits in the region of hyalinosis and sclerosis with diffuse loss of foot process seen in electron microscopy are features of -
1. Minimal change disease
2. Membranous glomerulonephritis
3. Membranoproliferative GN
4. Focal segmental glomerulosclerosis

Correct answer: 4. Focal segmental glomerulosclerosis